Antidiabetic drug that does not cause weight gain is
1. Metformin
2. Tolbutamide
3. Pioglitazone
4. Glipizide

Correct answer: 1. Metformin

Explanation: Metformin: Can cause megaloblastic anaemia and lactic acidosis. Risk of lactic acidosis increases in kidney and liver disease thus contraindicated in these patients. It causes maximum decrease in HbA1c Do not cause hypoglycaemia. Do not cause weight gain. DOC for type II diabetes mellitus. Pioglitazone: Metabolized by CYP2C8 and CYP3A4 to active metabolites, the risk of bladder cancer appears to be cumulatively increased with high doses. Tolbutamide and glipizide: sulfonylureas which tend to increase weight